A concept directed against prevention of risk factors of coronary artery disease is
1. Secondary prevention
2. Health education
3. Primordial prevention
4. Primary prevention

Correct answer: 3. Primordial prevention

Explanation: Levels of prevention 
Primordial prevention - Prevention of the development or emergence of Risk Factors in population groups in which they have not yet appeared.
Primary prevention - Action taken prior to the onset of disease which removes the possibility that the disease will ever occur. It signifies intervention in the pathogenesis phase of the disease. 
Secondary prevention - Action which halts the progress of disease at its incipient stage and prevents complications i.e., early diagnosis & treatment.
Tertiary treatment - Intervention in the late pathogenic phase all measures to reduce or limit impairments, disabilities and handicap